Most common type of ALL in children:
1. Pre-B cell ALL
2. Mature B cell ALL
3. Pre-T cell ALL
4. Mature T cell ALL

Correct answer: 1. Pre-B cell ALL

Explanation: - 85% cases of ALL are pre-B-ALL - 15% are T-ALL and 1% are derived from mature B cells